Factor useful for clot stabilization-
1. X
2. XI
3. XII
4. XIII

Correct answer: 4. XIII

Explanation: Ans. is 'd' i.e., XIII Factor XIII:o It is also called fibrin stabilizing factor.o It is necessary for clot stabilization and the cross linking of the fibrin polymer in blood,o A hallmark of this rare deficiency is poor wound healing and abnormal scar formation.